Which of the following enzyme is a constituent of HMP shunt-
1. Glucose-6-phosphatase
2. Hexokinase
3. G-6-P dehydrogenase
4. Phosphorylase

Correct answer: 3. G-6-P dehydrogenase

Explanation: Ans:C : G-6-P- dehydrogenase.The Hexose MonoPhosphate ShuntIt is also known as "Pentose phosphate Pathway" (PPP). This is alternative Glucose oxidation pathway. * Location: Cytoplasm of cells of the liver, adrenal cortex, and lactating mammary glands.* Substrate: Glucose-6-phosphate.* Oxidative portion: Irreversible. Generates two NADPH, which can then be used in fatty acid synthesis and cholesterol synthesis and for maintaining reduced glutathione inside RBCs.* Nonoxidative portion: Reversible. Generates intermediate molecules (ribose-5-phosphate; glyceraldehyde-3-phosphate; fructose-6-phosphate) for nucleotide synthesis and glycolysis.* Regulation: Key enzyme in the pentose-phosphate pathway is glucose-6-phosphate dehydrogenase. Levels of glucose-6-phosphate dehydrogenase are increased in the liver and adipose tissue when large amounts ofcarbohydrates are consumed. Glucose-6-phosphate dehydrogenase is stimulated by NADP+ and inhibited by NADPH and by palmitoyl-CoA (part of the fatty acid synthesis pathway).* Purpose: Functions as an alternative route for glucose oxidation that does not directly consume or produce ATP.